All are true about Peyronie's disease EXCEPT:
1. Self limiting
2. Medial treatment is effective
3. Association with Dupvytren's contracture
4. Calcified plaques

Correct answer: 2. Medial treatment is effective

Explanation: (Medical treatment is effective) (1399-1400-Baily & 24th) (1373-B &L 25th)PEYRONIE'S DISEASE - Common cause of erect penis.* Hard plaques of fibrosis can usually be palpated in the tunica of one or both corpora covemosa. The plaque may be calcified.* May result of past trauma, there is association with dupuytren *s contracture.Treatment - continue to progress or remit after 3-5 years* When the deformity of the penis is causing distress, it may be possible to straighten it by placing non absorbable sutures in corpus cavernous opposite the plaque. This reduces the elasticity in the region to balance that caused by the plaque (NES BITT'S OPERATION)Peyronie's disease* Medical treatment are often ineffective* The disease is typically self-limiting* Surgery may be indicated to correct deformity with sexual function.